Atropine is contraindicated in which mushroom poisoning ?
1. Inocybe species
2. Amanita muscaria
3. Amanita phalloides
4. Galerina species

Correct answer: 2. Amanita muscaria

Explanation: In Amanita muscaria poisoning , Treatment consists of gut decontamination, correction of dehydration, forced diuresis and other supportive measures. Ref : Krishnan vij Textbook of Forensic medicine and Toxicology 5th edtion ; pg no - 565